A 40-years-old woman presented to the gynecologist with complaints of profuse vaginal discharge. The diagnosis of bacterial vaginosis is made based upon all of the following findings on microscopy, except:
1. Abundance of gram variable coccobacilli
2. Absence of Lactobacilli
3. Abundance of polymorphs
4. Present of clue cells

Correct answer: 3. Abundance of polymorphs

Explanation: The Ph in Bacterial vaginosis is alkaline and hence there is lesser estrogenic environment and consequently lesser lactobacilli. It is diagnosed on the basis of the following findings :A fishy vaginal odourVaginal secretions are gray and thinly coat the vaginal walls.pH higher than 4.5 (usually 4.7 to 5.7).Increased number of clue cells, and leukocytes are conspicuously absent. The addition of KOH to the vaginal secretions (the "whiff" test) releases a amine like odor.Alternative diagnostic tests such as a pH and amines test card, detection of G. vaginalis ribosomal RNA, or Gram stain